Not included in armamentarium of tests for malabsorption syndrome:
1. D - Xylose
2. 14 C triolein breath test
3. 13 C trioctanoin breath test
4. 13 C triclosan breath test

Correct answer: 4. 13 C triclosan breath test

Explanation: Test Characterstics D- xylose test Sugar malabsorption and tests jejunal damage or proximal enteropathy 14 C triolein test Fat malabsorption picked up by radiocarbon being tagged to the triglycerides 13 C trioactanoin Fat malabsorption due to pancreatic exocrine insufficiency SeHCAT ( 23-seleno - 25- homo tauro -cholic acid) (selenium homocholic acid taurine) To diagnose bile acid malabsorption Hydrogen breath test For sugar malabsorption as unabsorbed sugar is degraded by bacteria. 13 C acetate breath tests For stomach emptying